Which of the following characteristics of bacteria is not true?
1. Unicellular
2. Free living
3. Having either DNA or RNA
4. Cell wall containing muramic acid

Correct answer: 3. Having either DNA or RNA